Depression is not a side effect of:
1. Propranolol
2. Oral contraceptives
3. Reserpine
4. Flupenthixol

Correct answer: 4. Flupenthixol

Explanation: Ans. (D) Flupenthixol(Ref: KDT 8/e p468)Flupenthixol is sometime used for treatment of depression, whereas other drugs mentioned in question can cause depression,